A 18–month old baby presents with recurrent episodes of excessive crying followed by cyanosis, unconsciousness and occasional seizures since 9 months of age. The most likely diagnosis is –
1. Epilepsy
2. Anoxic spells
3. Breath holding spells
4. Vasovagal attack

Correct answer: 3. Breath holding spells